Tiotropium is used for:
1. Treating urinary retention
2. Treating ileus
3. Increasing salivation
4. Treating asthma

Correct answer: 4. Treating asthma

Explanation: Tiotropium (Tiotropium Bromide) is a recently developed congener of Ipratropium bromide. It is an anticholinergic (antimuscaranic agents) used for the treatment of Asthma and COPD as it produces bronchodilation and relieves symptoms in such patients. It is poorly absorbed from the lungs and GIT and hence their systemic side effects are rare. Ref: KDT, 6th Edition, Pages 106, 110, 222;Basic and Clinical Pharmacology By Beram Katzung, 10th Edition, Page 114